All of the following are true about long terms sequel of cranio spinal radiotherapy for children with CNS tumors except:
1. Neurocognitive dysfunction
2. Endocrinologic dysfunction
3. Musculo skeletan hypoplasia
4. Neuropscychological sequel are independent of radiation dose

Correct answer: 4. Neuropscychological sequel are independent of radiation dose

Explanation: Ans. (d) Neuropsychological sequelae are independent of radiation dose* The dose of RT decides the effects due to white matter changes which occur.